Most of the testosterone secreted by the testes exists in the plasma in the form of?
1. Dihydrotestosterone bound to gonadal steroid-binding hormone
2. Free dihydrotestosterone
3. Free testosterone
4. Testosterone bound to sex-steroid-binding globulin

Correct answer: 4. Testosterone bound to sex-steroid-binding globulin

Explanation: The majority of circulating testosterone is bound to plasma protein (around 98%), rather than existing in free form. Of this, a majority is bound to a specific sex (or gonadal) steroid-binding protein and a minority is bound to albumin. Dihydrotestosterone is produced from testosterone in the tissues by a specific enzyme, 5-alpha-reductase, rather than circulating in bound or free form.